Contraindication for internal fixation is
1. Physeal injury
2. Active infection
3. Intraaicula fracture
4. Fracture dislocation

Correct answer: 2. Active infection

Explanation: Any acute infection is a contraindication for internal fixation as infection will cause slimy-layer Ref: Maheshwari 6e pg 19.